For a sensory nerve fiber that is connected to a Pacinian corpuscle located on palmar surface of the right hand, the synaptic connection with the subsequent neuron in the corresponding sensory pathway is located in
1. The right dorsal column nucleus
2. The left dorsal column nucleus
3. The dorsal horn of the right side of the spinal cord
4. The dorsal horn of the left side of the spinal cord

Correct answer: 1. The right dorsal column nucleus

Explanation: The Pacinian corpuscle transmits a modality of sensation (vibration) that is transmitted in the dorsal column-medial lemniscal system. The first synaptic connection in this sensory pathway is in the dorsal column nuclei on the ipsilateral side of the body